The overall degree of darkness of an exposed film is known as:
1. Radiographic contrast
2. Radiographic density
3. Brightness
4. Exposure

Correct answer: 2. Radiographic density